All of the following statements about vagus nerve are true except that it
1. Supplies heart and lung
2. Caries postganglionic parasympathetic fibers
3. Innervates right two third of transverse colon
4. Stimulates peristalsis and relaxes phincters

Correct answer: 2. Caries postganglionic parasympathetic fibers

Explanation: Parasympathetic general visceral efferent out flow of vagus is through preganglionic fibers, as postganglionic neurons related to vagus are located in thoracic and abdominal autonomic plexus, close to or, within, the viscera supplied. It supplies
Gastrointestinal tract from pharynx to the junction of the right 2/3rd and left I/3rd of transverse colon
(The left 1/3rd of transverse colon, descending colon, the sigmoid colon, rectum and upper part of anal canal are supplied by sacral part of parasympathetic system). As a rule, parasympathetic nerve stimulate intestinal movements and inhibit the sphincters, they are secretomotor to mucosa] glands.
Heart and lung the parasympathetic preganglionic neurons are located in the dorsal nucleus of vagus and stimulation reduces heart rate and leads to broncho constriction